Which of the following terms best describes a drug that blocks the action of adrenaline at its receptors by occupying those receptors without activating them?
1. Pharmacologic antagonist
2. Non competitive antagonist
3. Physiologic antagonist
4. Chemical antagonist

Correct answer: 1. Pharmacologic antagonist

Explanation: * Pharmacological antagonist bind to same receptor and thus blocks the action of the drug e.g. atenolol (a beta receptor antagonist) is pharmacological antagonist of adrenaline. * Physiological antagonist binds to different receptor and produce opposite effect e.g. adrenaline produce bronchodilation by binding to beta 2 receptors whereas histamine cause bronchoconstriction by acting on H1 receptors. Thus adrenaline is physiological antagonist of histamine.